Which ni the lolioning o hen increased can cause a shift of the oxygen-hemoglobin dissociation curve to the left?
1. pH
2. Temperature
3. 2,3-BPG
4. pCO2

Correct answer: 1. pH

Explanation: Ans. a. pH